Charlie chaplin gait is seen in -
1. Congenial coxa vara
2. Tibial torsion
3. DDH
4. Genu valgus

Correct answer: 2. Tibial torsion

Explanation: Charlie Chaplin gait occurs in tibial torsion. External tibial torsion may be corrected by a supramalleolar osteotomy but remember that an externally rotated gait pattern may be compensating for an inability of the foot to clear the ground when walking because of weak muscles/stiff joints. REF:Apley's system of orthopaedics- Maheshwari- 9th edn - pg no 243.